"Chocolate sauce' colour fluid seen in
1. Amoebic liver abscess
2. Hydatid liver disease
3. Hepatoma
4. Infective hepatitis

Correct answer: 1. Amoebic liver abscess

Explanation: A. i.e. (Amoebic liver abscess) (885 - S. Das 5th) (49 -B & L 25th)"Chocolate sauce or anchovy sauce" colour of pus- seen in Amoebic liver disease* Amoebic abscess are most common high in the diaphragmatic surface of the right lobe, solitary* It may burst into (a) right pleural cavity (b) right lung (c) peritoneal cavity* First symptoms are usually malaise and fatigue* USG or CT scans are the most useful diagnostic tests* Treatment mainly drug therapy* Surgical treatment Multiple loculated collection or when abscess cavity contains a large amount of necrotic debries* Amoeboma - most commonly seen in caecum*** CT scan is the best imaging modality in Hydatid disease - the diagnostic feature is a space - occupying lesion with a smooth out line with septa* Auxiliary orthotopic liver transplant is indicated for Acute fulminant liver failure for any cause*** Pingle maneuver is a means to stop bleeding from - Liver and cystic artery